Gall stone pain referred to Shoulder pain Nerve root values
1. C3-C5
2. C2-C8
3. T8-T9
4. T4-T6

Correct answer: 1. C3-C5

Explanation: Ans. (a) C3- C5Ref: Long Cases in Surgery by RRMBoas Sign:* In Cholecystitis, there is irritation of nociceptors present in Diaphragm which send afferent signals via C3/C4/C5 to the dorsal horn of spinal cord.* C4 dermatome covers the shoulder and converges on same area of spinal cord and hence interpreted as pain coming from shoulder in Gallbladder pain.